Screening of a disease is which level of prevention
1. Primordial
2. Primary
3. Secondary
4. Tertiary

Correct answer: 3. Secondary